Apnea of newborn implies cessation of breathing for__________
1. > 5 sec
2. > 10 sec
3. > 15 sec
4. > 20 sec

Correct answer: 4. > 20 sec

Explanation: Cessation of breathing for > 20 sec.